Which of the following is not a characteristic of right sided failure –
1. Pulmonary oedema
2. Ascites
3. Oliguria
4. Dependent oedema

Correct answer: 1. Pulmonary oedema

Explanation: Pulmonary edema is due to Lt sided heart failure that results in increased back pressure in pulmonary circulation.